A study to evaluate the relationship between smoking exposures taken during PNC visit and the child birth weight after delivery. This type of study is-
1. Case control
2. Prospective cohort
3. Cross sectional
4. Clinical trial

Correct answer: 2. Prospective cohort

Explanation: .a prospective cohort study is one in which the outcome has not yet occurred at the time when investigation began.begin in the present and continue into the future.examples of this type of study,includes Framingham's heart study, DOLL AND HILLS prospective study on smoking and lung cancer. study of oral contraceptives and health by the royal college of general practioners. ref:park's textbook,ed 22,pg no 73